Fertilization takes place after how much time of ovulation ?
1. 1-2 days
2. 5-6 days
3. 8-12 days
4. > 12 days

Correct answer: 1. 1-2 days

Explanation: Ans. is 'a' i.e., 1-2 days